Which of the following defines heterotopic pregnancy
1. One tubal and one abdominal pregnancy
2. One ectopic and one intrauterine pregnancy
3. Two pregnancies, one in each fallopian tube
4. Two ectopic pregnancies in one fallopian tube.

Correct answer: 2. One ectopic and one intrauterine pregnancy

Explanation: 1 Ectopic pregnancy + 1 intrauterine pregnancy is heterotopic pregnancy.